True about Sevoflurane – a) Isopropyl etherb) MAC is 2%c) Good to use in old aged) Blood gas partition coefficient is more than halothanee) Formation of compound A with baralyme
1. abe
2. bcd
3. cde
4. acd

Correct answer: 1. abe

Explanation: Sevoflurane is fluorinated isopropyl methyl ether (enflurane, desflurane & isoflurane are ethyl-methyl ether).
MAC of sevoflurane is 2.0%.
B.G. coefficient of sevoflurane (0.69) is less than halothane (2.4).
Anaesthetic of choice for elderly patients is desflurane (not sevoflurane).

—Morgan 4th/e 956

Sevoflurane forms compound 'A' with sodalime and Baralime.